HCV is associated with -a) Anti LKM-1 antibody b) Sclerodermac) Cryoglobulinemiad) Polyarteritis nodosa
1. a
2. ac
3. ad
4. b

Correct answer: 2. ac

Explanation: Several studies have observed a relationship between hepatitis C virus infection and anti-liver/kidney microsome-1 (anti-LKM-1) positive chronic hepatitis.
It has been suggested that hepatitis C may induce an autoimmune phenomenon that leads to the development of a specific type (type II anti-LKM-1 positive) autoimmune chronic hepatitis- Journal- J Viral Hepat. 1995; 2(4):175-9.